Chlamydia causes all the following diseases except-
1. Non-gonococcal urethritis
2. Pneumonia
3. Trachoma
4. Parotitis.

Correct answer: 4. Parotitis.